Who said: "Skin is the best dressing?
1. Joseph Lister
2. John Hunder
3. James Paget
4. Mc Neill Love

Correct answer: 1. Joseph Lister

Explanation: Joseph lister said "skin is the best dressing".